If mother is donating the kidney to her son, this is an example of:-
1. Autograft
2. Allograft
3. Isograft
4. Xenograft

Correct answer: 2. Allograft

Explanation: Types of grafts - Autograft: same person - Allograft/Homograft: from one person to another / same species - Isograft: Identical twine - Xenograft/Heterograft: Between different species - Orthotopic graft: Graft placed in normal anatomical site - Heterotrophic graft: Graft in site different from its anatomical location